The following Potassium channel opener is used in angina
1. Nicorandil
2. Hydralazine
3. Fasudil
4. Ranolazine

Correct answer: 1. Nicorandil

Explanation: Nicorandil, minoxidil, pinacidil are potassium channel openers used in angina which produce hyperpolarization. and causing the vasodilation and reducing the oxygen demand and increase the oxygen supply yo the infracted area. Ref: KD Tripathi 8th ed.